Splanchnic nerves are
1. Preganglionic Sympathetic nerves
2. Postganglionic Sympathetic nerves
3. Preganglionic parasympathetic nerves
4. Postganglionic parasympathetic nerves

Correct answer: 1. Preganglionic Sympathetic nerves

Explanation: Splanchnic nerves are preganglionic Sympathetic nerves